Following are required for wound healing except ?
1. Zinc
2. Copper
3. Vitamin C
4. None

Correct answer: 4. None

Explanation: Ans. is 'None'